Falangais-
1. Beating on soles with blunt object
2. Beating on soles with palms
3. Beating on the abdomen
4. Suspension by wrists

Correct answer: 1. Beating on soles with blunt object

Explanation: Ans. is 'a' i.e., Beating on soles with blunt objectMethods of torture:o BeatingFalanga/ Falaka/ Baatinada- beating on soles of feet with blunt objectTelefono- beating on ears with both palmso SuspensionLa- Bandera- suspension by wristMercelago- suspension by ankleso Forced posturePlanton- prolonged standing